A 35 years old male with long standing disseminated TB presents in a emaciated state with following features:  • BP = 85/60 mmHg   • Low volume pulse of 100 BPM  • Diffuse hyperpigmentation that involves hand creases  • Serum Na+ = 120meq/L (N = 136–146 meq/L) • Serum K+ = 6.6 meq/L) Your most immediate response would be:
1. To suspect secondary hyperaldosteronism and start IV steroids
2. To suspect gram negative sepsis and start IV antibiotics
3. To suspect adrenocortical insufficiency and start IV steroids
4. To suspect massive pulmonary thromboembolism and start IV Heparin

Correct answer: 3. To suspect adrenocortical insufficiency and start IV steroids